The triad of 'saturnine gout' + hypertension + renal failure is seen in?
1. Diabetic nephropathy with hyporeninemic hypoaldosteronism
2. Lead nephropathy
3. Sickle cell nephropathy
4. Aristolochic acid nephropathy

Correct answer: 2. Lead nephropathy

Explanation: Saturnine gout Cause - Lead toxicity Symptoms - Symptoms of lead toxicity precede the development of gout. Hence patient will have anemia, basophilic stippling of RBC, abdominal pain and nerve palsy The damage to kidney will lead to hypertension and progressive renal malfunction. Knee joint involvement is more common than MTP involvement in saturnine gout